The first bone to ossify in body is:
1. Lower end of femur
2. Clavicle
3. Upper end of humerus
4. Upper end of tibia

Correct answer: 2. Clavicle

Explanation: Clavicle